Ionophores have following action except
1. Abolish proton gradient
2. Inhibit ADP to ATP conversion
3. Hydrophilic in character
4. Abolish pH gradient

Correct answer: 3. Hydrophilic in character

Explanation: Hydrophilic in character 

Inophors are lipophilic (not hydrophilic).
Inophors inhibit ATP formation by inhibiting oxidative phosphorylation by abolishing proton gradient or pH gradient.